Grevious hurt is defined in IPC -
1. 318
2. 319
3. 320
4. 321

Correct answer: 3. 320

Explanation: Ans. is 'c' i.e., 320 [Ref: Parikh 6th/e p. 3.68\o 3191 PC : Defines hurt,o 320IPC : Defines grievous hurt,o 321 IPC : Voluntarily causing hurt,o 322 IPC : Voluntarily causing grievous hurt.o 323 IPC : Punishment for voluntarily causing hurt {no provocation, no dangerous weapon) (1 years imprisonment),o 324 IPC : Punishment for voluntarily causing hurt by dangerous weapon (3 years imprisonment +- fine),o 325 IPC : Punishment for voluntarily causing grievous hurt (no provocation, no dangerous weapon) (7 years imprisonment +- fine).